In case of a long standing goitre., ca most probable to occur is :
1. Follicular
2. Papillary
3. Anaplastic
4. Medullary

Correct answer: 1. Follicular

Explanation: Ans. is 'a' ie follicular "An increased incidence of cancer (usually follicular) has been reported from endemic areas. Dominant or rapidly growing nodules in longstanding goiters should always be subjected to aspiration cytology." - Bailey & Love